The treatment of contacts of meningococcal meningitis is by:
1. Rifampicin
2. Erythromycin
3. Penicillin
4. Cephalosporin

Correct answer: 1. Rifampicin

Explanation: R ifampin (Rifampicin, R) It is a semisynthetic derivative of rifamycin B obtained from Streptomyces mediterranei. Rifampin is bactericidal to M. tu berculosis and many other gram-positive and gram-negative bacteria like Staph. aureus, N. meningitidis, H. influenzae, E . coli, Klebsiella, Pseudomonas, Proteus and Legionella. Against TB bacilli, it is as efficacious as INH and better than all other drugs. The bactericidal action covers all subpopulations of TB bacilli, but acts best on slowly or intermittently (spuers) dividing ones, as well as on many atypical mycobacteri a . Both extra- and intracellular organisms are affected. It has good sterilizing and resistance preventing actions. Other uses of rifampin (i) Leprosy (ii) Prophylaxis of Meningococcal and H. influenzae meningitis and carrier state. (iii) Second/third choice drug for MRSA, diphtheroids and Legionella infections. (iv) Combination of doxycycline and rifampin is the first line therapy of brucellosis. ESSENTIALS OF MEDICAL PHARMACOLOGY K.D.TRIPATHI SIXTH EDITION PAGE NO:741,742